Alzheimer's disease, which is involved ?
1. Frontal cortex
2. Cortical atrophy of temporoparietal cortex
3. Frontal and parietal cortex
4. Occipital cortex

Correct answer: 2. Cortical atrophy of temporoparietal cortex